Non-resectability criteria in hilar cholangiocarcinoma are all except:
1. Involvement of secondary biliary radicals bilaterally
2. Metastasis to celiac nodes
3. Involvement of right branch of portal vein
4. Contralateral involvement of bile duct

Correct answer: 3. Involvement of right branch of portal vein

Explanation: Criteria of Un-resectability in Hilar Cholangiocarcinoma:- 1. Hepatic duct involvement up to secondary radicals bilaterally 2. Encasement or occlusion of the main portal vein proximal to its bifurcation 3. Atrophy of one lobe with encasement of contralateral portal vein branch 4. Atrophy of one lobe with contralateral involvement of secondary biliary radicals 5. Histologically proven metastasis to N2 lymph nodes 6. Liver, lung or peritoneal metastasis